A 20 year old male presents with chronic constipation, head ache and habitus, neuromas of tongue, medullated corneal nerve fibers and nodule of 2*2 cm size in left lobe of thyroid. This patient is a case of:
1. Sporadic medullary carcinoma of thyroid
2. Familial medullary carcinoma of thyroid
3. MEN-2A
4. MEN-2B

Correct answer: 4. MEN-2B

Explanation: MEN-2A (Sipple Syndrome MEN) MEN-2B (MEN-3) Components Medullary carcinoma thyroid Pheochromocytoma Parathyroid hyperplasia or adenoma Hirschprung's Disease Cutaneous lichen amyloidosis Medullary carcinoma thyroid Pheochromocytoma Intestinal ganglioneuromas Mucosal neuromas Megacolon Marfanoid features Defect RET oncogenic (Cysteine codon) Chromosome: 10 RET oncogene (tyrosine kinase domain) Chromosome: 10 Transmission Autosomal dominant Autosomal Dominant Ref: Sabiston 20th edition Pgno: 993,1003